In which of the following condition fascicular ulcer is seen:
1. HSV keratitis
2. Spring catarrh
3. Riboflavin deficiency
4. Phlyctenularkeratoconjunctivitis

Correct answer: 4. Phlyctenularkeratoconjunctivitis

Explanation: Fascicular ulcer is seen with phlyctenular keratoconjunctivitis. Phlyctenular keratoconjunctivitis Cause: Staphylococcus/ M. Tuberculosis Lesions are seen near limbus Type 4 hypersensitivity reaction Predominantly affect children Fascicular ulcer has Prominent leash of blood vessels Can also cause Sacrofulous ulcer that has shallow margin due to breakdown of small limbal phlycten.